The tensor tympani muscle is inserted to the handle of malleus. The nerve supply to tensor tympani is?
1. Vagus nerve
2. Glossopharyngeal nerve
3. Trigeminal nerve
4. Facial nerve

Correct answer: 3. Trigeminal nerve

Explanation: The motor pure branches of mandibular division of trigeminal nerve: Masseteric nerve (masseter muscle) Deep temporal nerves (temporalis muscle) Pterygoid nerves (pterygoid muscles) Nerve of the tensor tympani muscle Nerve to the tensor veli palatini muscle